True about viroids is?a) Cause tumors in animalsb) Lack envelope like coveringc) Have only genetic materiald) Visible on light microscope
1. bc
2. c
3. ac
4. ad

Correct answer: 1. bc